All are the characteristics of raised ICT on a plain radiology except:
1. Erosion of dorsum sellae
2. Ballooning of sella
3. Increased convolutons
4. Sutural diastasis

Correct answer: 2. Ballooning of sella

Explanation: B i.e., Ballooning of dorsal sellae - Sutural diastasis (1st sign in children), increased convolutions (copper beating of skull vault) and thinning & erosion of dorsal sellae (cardinal sign in adults) are features of raised ICT. Expansion & ballooning of sella is seen in pitutary adenomaQ. Expansion & erosion of internal auditory meatus (IAM) is seen in acoustic neuromaQ.